Nonoligouric kidney failure occurs with administration of which of the following drug/s?
1. Gentamycin
2. Cisplatin
3. Ifosfamide
4. All the above

Correct answer: 4. All the above

Explanation: Ans. is 'd' i.e., All the above * ARF with urine output > 600 ml/day is defined as non-oliguric renal failure-* Important drugs cousing non-oliguric renal failure are -i) Aminoglycosides (e.g. gentamycin)iv) Ifosfomideii) Amphotericin Bv) Radiocontrast agentsiii) Cisplatinvi) Cyclosporine